The most common manifestation of congenital toxoplasmosis is?
1. Hydrocephalus
2. Chorioretinitis
3. Hepatosplenomegaly
4. Thrombocytopenia

Correct answer: 2. Chorioretinitis